The normal bacterial flora in vagina makes it :
1. Acidic
2. Alkaline
3. Neutral
4. Does not affect

Correct answer: 1. Acidic

Explanation: The vaginal secretion is acidic due to the presence of lactic acid pH is 4.5 It is secreted by the bacteria in the vagina Ref: Shaw Gynecology 17 e pg 16.